A 30 year old female comes with acute breathlessness, neck vein distension and absent breath sounds and mediastinal shift. Which of the following should be done immediately.?
1. HRCT is the investigation of choice
2. ABG analysis should be done
3. CXR
4. large bore needle punture of pleura

Correct answer: 4. large bore needle punture of pleura

Explanation: The diagnosis is made by physical examination showing an enlarged hemithorax with no breath sounds, hyperresonance to percussion, and shift of the mediastinum to the contralateral side. Tension pneumothorax must be treated as a medical emergency. If the tension in the pleural space is not relieved, the patient is likely to die from inadequate cardiac output or marked hypoxemia. A large-bore needle should be inserted into the pleural space through the second anterior intercostal space. If large amounts of gas escape from the needle after insertion, the diagnosis is confirmed Ref Davidson edition23rd pg 628